CSF rhinorrhoea is diagnosed by:
1. b2 macroglobulin
2. b2 transferrin
3. Thyroglobulin
4. Transthyretin

Correct answer: 2. b2 transferrin

Explanation: (b) b2 transferrin(Ref. Cummings, 6th ed., 807)b2 transferrin on electrophoresis is pathognomonic of CSF as this protein is present only in CSF.